Which of the following is inherited as autosomal recessive form?
1. Sickle cell anemia
2. Hemophilia
3. Hereditary spherocytosis
4. Glucose 6-P04 dehydrogenase deficiency

Correct answer: 1. Sickle cell anemia

Explanation: Autosomal Recessive Inheritance Cystic fibrosis Phenylketonuria Tay-Sachs disease Severe combined immunodeficiency a- and b-Thalassemias Sickle cell anemia Autosomal Dominant Inheritance Familial hypercholesterolemia Marfan syndrome Ehlers-Danlos syndrome Hereditary spherocytosis Neurofibromatosis, type 1 Adult polycystic kidney disease (Robbins Basic Pathology, 9 th edition. page :219 )